HLA-I is present on ?
1. All nucleated cells
2. Only on cells of immune system
3. Only on B-cells
4. Only on T-cells

Correct answer: 1. All nucleated cells

Explanation: Ans. is 'a' i.e., All nucleated cells